Malignant hydatid is caused by
1. E granulosus
2. E multilocularis
3. E vogeli
4. Hymenolepis nana

Correct answer: 2. E multilocularis

Explanation: Malignant hydatid disease It is a misnomer , as it is a benign condition It is caused by echinococcus multilocularis.It presents with multiple small cysts in both lobes of liver It is difficult to treat and mimics clinically and prognosis wise to malignancy; hence the name. Patients die of liver failure Ref : panikers textbook of Medical parasitology 8th edition page 136